Casper's dictum refers to -
1. Rate of putrefaction
2. Rigor mortis
3. Rate of cooling of body
4. Greenish discoloration of another abdominal skin

Correct answer: 1. Rate of putrefaction

Explanation: Caspers dictum states that a body decomposes in air twice as rapidly as in water and eight times as rapidly in earth. Dr. Narayana Reddys Synopsis of Forensic Medicine & Toxicology 27 th edition pg. 86.